Topical antifungal agent used in keratomycosis is:
1. Silver sulfadiazine
2. Natamycin
3. Ketoconazole
4. Flucytosine

Correct answer: 2. Natamycin

Explanation: Fungal keratitis tends to occur after corneal injury involving plant material or in an agricultural setting, in eyes with chronic ocular surface disease, and increasingly in contact lens wearers. Signs: It is usually an indolent process, with the cornea characteristically having multiple stromal abscesses and relatively little epithelial loss. Intraocular infection is common. Investigations: Corneal scrapings should be cultured on media suitable for fungi whenever the history or corneal appearance is suggestive of fungal disease. Diagnosis is often delayed and treatment is difficult. Treatment: Natamycin 5%, amphotericin 0.1-0.5%, and voriconazole 1% are the most commonly used topical agents. Systemic imidazoles may be helpful. Corneal grafting is often required. Ref: Riordan-Eva P. (2013). Chapter 7. Disorders of the Eyes & Lids. In M.A. Papadakis, S.J. McPhee, M.W. Rabow (Eds), CURRENT Medical Diagnosis & Treatment 2013.